The biosynthesis of Epinephrine from Norepinephrine requires
1. Pyridoxal phosphate
2. Biotin
3. Cytochrome P450
4. S-adenosyl methionine

Correct answer: 4. S-adenosyl methionine

Explanation: S-adenosyl methionine (SAM) is the methyl donor for the conversion of Norepinephrine to Epinephrine.